What is the mechanism of action of use of Naltrexone in alchohol addiction in a 45-year-old man?
1. Inhibits metabolism of alcohol
2. Blocks opioid receptors
3. Affects GABA neurotransmitter system
4. None of the above

Correct answer: 2. Blocks opioid receptors

Explanation: Naltrexone blocks opioid receptors and reduces craving for alcohol and opioids. It also reduces reward in response to drinking. Hence it is useful to prevent relapse in a de-addiction programme. Inhibits metabolism of alcohol: Disulfiran inhibits metabolish of alcohol and leads to accumulation of acetaldehyde. Affects GABA neurotransmitter system: Acamprosate affects GABA and Glutamate neurotransmitter system. Ref: Kaplan & Sadock's Synopsis of Psychiatry, By Benjamin J Sadock, M.D., Harold I. Kaplan, Virginia A Sadock, M.D, 10th Edition, Page : 406